Hallucinations are seen after ............... anaesthesia:
1. Ketamine
2. Thiopentone
3. Fentanyl
4. Nitrous oxide

Correct answer: 1. Ketamine

Explanation: Ketamine anesthesia produces hallucination and delirium(pyschomimetic effect). Thiopentone , Fentanyl and nitrous oxide are devoid of these effects. From padmaja 4th edition Page no 196,195